Screening of prostate Ca commonly done by
1. DRE ( Digital rectal exam)
2. USG
3. MRI
4. PSA

Correct answer: 4. PSA

Explanation: Screening for carcinoma prostate is done by measurement of PSA (prostate specific antigen ). It is a organ specific protease produced from the prostatic epithelium, secreted in the semen to cleave and liquefy the seminal coagulum formed after ejaculation. It is sensitive for carcinoma prostate but not specific. Normal value is 4 ng/ml of plasma. Value >10 ng/ml is significant. Cancer detection rate is 2-4%. About 30% of men with elevated PSA will have prostate cancer confirmed by biopsy. But about 20% of those with clinically significant prostate cancer have PSA level within normal range. Reference : page 1043, 1044 SRB's manual of surgery 5th edition and page 1354 Bailey and Love's short practice of surgery 25th edition